Busacca and Koeppe nodules are characteristically seen in
1. Residual uveitis
2. Recurrent uveitis
3. Granulomatous uveitis
4. Non-granulomatous uveitis

Correct answer: 3. Granulomatous uveitis

Explanation: Non granulomatous uveitisGranulomatous uveitisBehcet disease HLA - B27 associated ankylosing spondylitis Reiter syndrome Inflammatory bowel disease Idiopathic Infections - Lyme disease, Kawasaki disease, rickettsia, mumps, measles, Chlamydia, influenza, adenovirusPsoriatic arthritis Secondary syphilis Trauma UGH syndrome Glaucomatocyclitic crisis Lens induced uveitis Corneal graft rejection Sarcoidosis Sympathetic ophthalmitis Phacoanaphylaxis Vogt - Koyanagi - Harada syndrome Infections - Tuberculosis, Leprosy, Syphilis, Leptospirosis, Brucellosis, Herpes simplex, herpes zoster, varicella, systemic mycosis Koeppe' s nodules- situated at papillary border - posterior synechiae smaller in size Busacca' s nodules- situated at the collarette; larger in size(Refer: AH Khurana, Comprehensive Textbook of Ophthalmology,5thedition, pg no: 149)